Which of the muscle is supplied by both tibial and common peroneal part of the sciatic nerve?
1. Adductor magnus
2. Semitendinosus
3. Semimembranosus
4. Biceps femoris

Correct answer: 4. Biceps femoris

Explanation: Biceps femoris
Long head - Tibial part of sciatic nerve
Short head - Common peroneal part of sciatic nerve